In valvular heart disease complicating pregnancy the following statements are true except:
1. A closed mitral valvotomy can be carried out if symptoms of mitral stenosis are severe
2. Open heart surgery is associated with a reduction in fetal loss
3. Mitral regurgitation is usually well tolerated
4. A maternal mortality of 15% has been reported in women with critical aortic stenosis

Correct answer: 2. Open heart surgery is associated with a reduction in fetal loss